Connexin 26 mutation is associated with:
1. Deafness
2. Anosmia
3. Seizures
4. None of the above

Correct answer: 1. Deafness

Explanation: Among the genes associated with human deafness, GJB2 encoding for connexin 26 is significant for being associated with nearly 20% childhood deafness.